An Employer is responsible not only for his own negligence but also for activity done by his employee. This comes under
1. Vicarious liability
2. State liability
3. Personal liability
4. Company liability

Correct answer: 1. Vicarious liability

Explanation: (A) Vicarious liability # VICARIOUS LIABILITY:> Liability for act of another is a form of strict, secondary liability that arises under the common law doctrine of agency - respondent superior - the responsibility of the superior for the acts of their subordinate, or, in a broader sense, the responsibility of any third party that had the "right, ability or duty to control" the activities of a violator. It can be distinguished from contributory liability, another form of secondary liability, which is rooted in the tort theory of enterprise liability.